Antidote for oxalic acid poisoning:
1. BAL
2. Animal charcoal
3. Calcium gluconate
4. Magnesium

Correct answer: 3. Calcium gluconate

Explanation: C i.e. Calcium gluconate